4 drugs in AKT used because -
1. Decrease in resistance by mutation
2. Decrease in resistance by conjugation
3. To cure disease early
4. None

Correct answer: 1. Decrease in resistance by mutation

Explanation: 4 drugs used in AKT because of decrease in resistance by mutation. Park's textbook of preventive and social medicine,K.Park,22nd edition,page no:173.